All are used for the treatment of pulmonary hypertension EXCEPT:
1. Endothelin receptor antagonists
2. Phosphodiesterase inhibitors
3. Calcium channel blockers
4. Beta blockers

Correct answer: 4. Beta blockers

Explanation: CCBs, ET antagonists are used in Pul.HTN apart from PGI2 analogues and PDE5 inhibitors No- nitric oxide - only therapeutic use is Pul. HTN in newborn betablockers- no role Ref: KD tripathi 8th ed.